In a child with a cavovarus foot deformity, the standing lateral block test assesses the flexibility of the
1. Ankle
2. Hindfoot
3. Forefoot
4. Ankle and hindfoot

Correct answer: 2. Hindfoot

Explanation: The standing lateral block test is used to evaluate hind foot flexibility. It is performed by placingthe heel and lateral border of the patient's foot on a wooden block 2 to 4 cm thick, while the medial border of the foot is allowed to hang freely. This test negates any effect the forefoot may have on the hindfoot in stance. If the heel varus corrects with the patient standing on the block, the hindfoot is considered flexible.